Post coital test detects all of the following. Except:
1. Fallopian tube block
2. Cervical factor abnormality
3. Sperm count
4. Sperm abnormality

Correct answer: 1. Fallopian tube block

Explanation: Ans. is 'a' fallopian tube block. (Shaws, 13/e, p 202, 210 (12/e, p. 158, 164))Postcoital test can be used to study the properties of cervical mucus i.e.,. its capability to allow sperm penetration and presence of antisperm antibodies and also about ovulation.Study of cervical mucus has nothing to do with fallopian tube patency.Fallopian tube patency is checked by -Hysterosalpingography*CO2 - insufflation test*Laparoscopic chromotubationSalpingographyHysteroscopyTranscervical fallo scopyAmpullary and fimbrial salpingoscopy